All of the following are associated with hypergonadotrophic hypogonadism in males, Except-
1. Viral orchitis
2. Klinefelter's syndrome
3. Kallman's syndrome
4. Noonam syndrome

Correct answer: 3. Kallman's syndrome